A 12 year old boy presents with recurrent attacks of conjunctivitis for the last 2 years with intense itching and ropy discharge. The diagnosis is
1. Vernal conjunctivitis
2. Phlyctenular conjunctivitis
3. Trachoma
4. Viral conjunctivitis

Correct answer: 1. Vernal conjunctivitis

Explanation: A i.e. Vernal conjunctivitis